Which of the following muscles elevates the mandible?
1. Buccinator
2. Temporalis
3. Caninus
4. Lateral pterygoid

Correct answer: 2. Temporalis